How much Foot candles light is required for minimum illumination to get a satisfactory vision?
1. 15-20
2. 15-Oct
3. 20-25
4. 25-30

Correct answer: 1. 15-20

Explanation: 15-20 foot candle light is required for min illumination to get a satisfactory vision. 1 Foot candle = 10.76 Lux DLF (day light factor) in a living room should be >= 8% & min >= 10% in kitchen. DLF is a comparison of light in room compared from natural light outside.